Color of diphtheretic membrane is –
1. Grey
2. White
3. Yellow
4. Cream

Correct answer: 1. Grey